Depth of AC is:
1. 2-3 mm
2. 3-4 mm
3. 4-5 mm
4. 6-8 mm

Correct answer: 1. 2-3 mm

Explanation: Anterior chamber(AC) - space between the posterior surface of cornea & the Anterior surface of iris. Depth of anterior chamber is measure from center of cornea to center of pupil average 2.5mm shallow AC- in elderly women, hypermetropes deep AC in young males, myopes volume -0.25 to 0.3 ml BOTH AC AND PC CONTAINS AQEOUS HUMOUR Posterior chamber(PC) - space betwee the posterior suface of iris and anterior surface of lens. Anterior Segment - All structures anterior to Lens (Ant segment = AC +PC) Posterior Segment - all structures posterior to lens